Mentzer index more than 13 suggests a diagnosis of-
1. Iron deficiency anemia
2. Thalassemia
3. Hereditary Spherocytosis
4. Autoimmune Hemolytic Anemia

Correct answer: 1. Iron deficiency anemia

Explanation: Ans. is 'a' i.e., Iron deficiency Anemia o Mentzer index more than 13 suggests a diagnosis of Iron-deficiency anemia.Mentzer indexo The Mentzer index is used to help in differentiating iron deficiency anemia from beta thalassemia.o The index is calculated as the quotient of the mean corpuscular volume (MCV} in (L) divided by the red blood cell count (RBC, in millions per microleier).o If the Mentzer index is less than 13, thall ass emia is said to be more likely.o If the Mentzer Index is greater than 13, Then iron-deficiency anemia is said to be more likely.o Principle# In iron deficiency, the marrow cannot produce as many RBCs and they> are small (imcrocytic), so the RBC count and the MC-V will both be low. and as a result, the index will be greater than 13. Conversely, in thalassemia, which is a disorder of globin synthesis, the number of RBC s produced is normal, but the cells are smaller and more fragile. Therefore, the RBC count is normal, but the MCV is low, so the index will be less than 13.o In practice, the Mentzer index is not a reliable indicator and should not, by itself, be used to differentiate the two conditions.IndexFormulaValue for iron deficiency anemiaValue for beta thalassemiaMentzer indexMCV/RBC count> 13< 13Shine and Lai indexMCV2 x MCH x 0.01> 1530< 1530England and Fraser indexMCV - RBC - (5 x Hb) - 5.19>0<0Srivastava indexMCH,'RBC> 3.8<3.8Green and king indexMCV2 x RDW x Hb/100>65< 65Red cell distribution width indexMCV x RDW/RBC>220<220